Cardiac output increases due to:
1. Decrease in intrathoracic pressure
2. Decrease in blood volume
3. Decreased ventricular compliance
4. Decreased mean systemic filling pressure

Correct answer: 1. Decrease in intrathoracic pressure

Explanation: Option A: Thoracic pump: Option B: Decreased blood volume - decreased mean systemic filling pressure (Psf)-decreased venous return Option C: Decreased ventricular compliance will decrease the ability of ventricle to accumulate blood during diastole - decreased EDV Option D: Decreased filling, decreases EDV Factors maintaining CO: Heart rate (chronotropic effect) Stroke volume Venous return or EDV or preload Force of contraction (inotropic effect) determines ESV Afterload, determined by total peripheral resistance (TPR)